Example for ellipsoid joint is -
1. Wrist
2. Knee
3. Ankle
4. Shoulder

Correct answer: 1. Wrist

Explanation: A i.e. Wrist